Which of the following parameter is used to assess the rate of drug absorption
1. Tmax
2. Cmax
3. Half life
4. Area under the curve

Correct answer: 1. Tmax

Explanation: * Cmax - maximum plasma concentration of a drug that can be obtained after giving a particular dose. Depends on dosage * AUC - Area under curve tells the EXTENT OF ABSORPTION * Tmax - Time in which concentration become maximum. tells the RATE OF ABSORPTION